Mangled Extremity Severity Score (MESS) includes all of the following except?
1. Shock
2. Ischemia
3. Neurogenic injury
4. Energy of injury

Correct answer: 3. Neurogenic injury

Explanation: The Mangled Extremity Severity score(MESS) is useful in deciding about limb salvage. It includes Skeletal and soft tissue injuries categorised as :high energy, moderate energy and low energy. Shock Ischemia Age Mnemonic SASI Reference: Bailey and love, 27th edition page 416